All of the following are nucleoside reverse transcriptase inhibitors (RTIs), EXCEPT
1. Zidovudine
2. Lamivudine
3. Nevirapine
4. Didanoside

Correct answer: 3. Nevirapine

Explanation: (C) Nevirapine # RTIs come in 3 forms:> Nucleoside analog reverse transcriptase inhibitors (NARTIs or NRTIs)> Nucleotide analog reverse transcriptase inhibitors (NtARTIs or NtRTIs)> Non-nucleoside reverse transcriptase inhibitors (NNRTIs)> Nucleoside analog reverse transcriptase inhibitors (NARTIs or NRTIs): Zidovudine; Didanosine; Zalcitabine; Stavudine; Lamivudine; Abacavir; Emtricitabine# Nucleotide analog reverse transcriptase inhibitors (NtARTIs or NtRTIs): Tenofovir, Adefovir# Non-nucleoside reverse transcriptase inhibitors (NNRTIs): Efavirenz; Nevirapine; Delavirdine; Portmanteau inhibitors.